The earliest sign of foetal life is best detected by:
1. Doppler
2. Real-time ultrasound
3. Fetoscopy
4. Clinical examination

Correct answer: 2. Real-time ultrasound

Explanation: Ans. B. Real-time ultrasoundRecording the presence or absence of fetal life can generally be accomplished by real-time ultrasound by 6th week (TAS) or 5th week (TVS) counting from first day of last menstrual period.The routine use of doppler in pregnancy remains controversial, with concern about the increased power intensities when compared with imaging levels and with the widespread use of TVS.